Which of the following condition is associated with necrotizing lymphadenitis?
1. Hodgkin's disease
2. Kikuchi disease
3. Kimura disease
4. Sarcoidosis

Correct answer: 2. Kikuchi disease

Explanation: Kikuchi histiocytic necrotizing lymphadenitis, or Kikuchi disease, is a self-limited disease that primarily affects women 20-30 years old. Patients typically have unilateral lymph node enlargement, most often in the posterior cervical chain, which may be accompanied by fevers, chills, myalgias, malaise, diarrhea, nausea, vomiting, hepatosplenomegaly, or generalized lymphadenopathy. Abnormal laboratory values may include leukopenia and atypical lymphocytes. EBV has been implicated as one causative agent. Diagnosis is by biopsy of the affected lymph node, which typically shows histiocytic aggregates, atypical lymphoid cells, karyorrhectic debris, and patchy necrosis as well as absence of neutrophils or a granulomatous reaction. The disease typically resolves spontaneously after 1-6 months without treatment. Ref: Belazarian L.T., Lorenzo M.E., Pearson A.L., Sweeney S.M., Wiss K. (2012). Chapter 192. Exanthematous Viral Diseases. In L.A. Goldsmith, S.I. Katz, B.A. Gilchrest, A.S. Paller, D.J. Leffell, N.A. Dallas (Eds), Fitzpatrick's Dermatology in General Medicine, 8e.